Extremely pruritic excoriation and papules on buttocks with autoantibodies against epidermal transglutaminase and IgA deposition in dermis on immunohistological examination of normal perilesional skin. Diagnosis is?
1. Pemphigus vulgaris
2. Pemphigoid
3. Linear IgA disease
4. Dermatitis herpetiformis

Correct answer: 4. Dermatitis herpetiformis